Vitamin A supplementation is which type of prevention-
1. Primordial
2. Primary
3. Secondary
4. Tertiary

Correct answer: 2. Primary

Explanation: Ans. is 'b' i.e., Primary Level of prevention Examples * Primordial prevention * Discouragement from adopting a harmful lifestyle, e.g. smoking * Primary prevention * Immunization (vaccination) * Chemoprophylaxis * Nutritional supplementation programmes (e.g. vitamin A supplementation) * Chlorination of water * Using a mosquito net * Health education * Secondary prevention * Screening test * Case finding programmes * Early diagnosis 8c treatment * Tertiary prevention * Disability limitation # Resting the affected limb in a neutral position in PRPP to prevent deformity * Rehabilitation # Estabilishing schools for blind # Provision of aids for crippled # Reconstructive surgery in leprosy # Muscle re-education and graded exercise in neurological disorder like polio # Changing profession for a more suitable one